which of the following is not the use of fluoxetine
1. treatment of delayed ejaculation
2. treatment of premature ejaculation
3. treatment of impulse control disorder
4. treatment of paraphlia

Correct answer: 1. treatment of delayed ejaculation

Explanation: SSRI * IMPORTANCE Most widely prescribed antidepressant * MECHANISM Specifically acts on serotonin transporters and increases serotonin in synapse. DRUGS FLUOXETINE FLUVOXAMINE DAPOXETINE CITALOPRAM ESCITALOPRAM ESCITALOPRAM SERTRALINE PAROXETINE USE FLUOXETINE=============CHILDHOOD DEPRESSION FLUVOXAMINE===========OCD DAPOXETINE==============PME ESCITALOPRAM===========HEART SAFE, PATHOLOGICAL EMOTIONS PAROXETINE=========SEDATING, PANIC DISORDER IMPULSE CONTROL DISORDERS PME PARAPHILIA Ref. kaplon and sadock, synopsis of psychiatry, 11 th edition, 966